Attitudinal field defect is seen in:
1. Optic nerve lesion
2. Optic neuritis
3. Lesions of occipital lobe
4. Anterior ischemic optic neuropathy

Correct answer: 4. Anterior ischemic optic neuropathy

Explanation: Ans: D i.e. Anterior ischemic optic neuropathy Visual field defects Optic nerve lesion will result in ipsilateral blindness Field defects in optic neuritis may be relative or absolute for colours. There is usually some peripheral loss of the visual field Lesions of occipital lobe results in homonymous hemianopia usually with macular sparing Generally an inferior attitudinal field defect is seen if the superior half of the disc is more often affected in AION